Mydriasis is/are caused by:
1. Homer syndrome
2. Neurosyphilis
3. Organophosphorus poisoning
4. Atropine

Correct answer: 4. Atropine

Explanation: D i.e. Atropine Pinpoint pupils are seen in - 'Car Chlor Or Mor' i.e. Carbolic acid, Chloral hydrate, Organophosphorus, Morphine (opiate)Q and 'New Horn' i.e. neurosyphilis/tabes dorsalis (spinal miosis or small, irregular Argyll Robertson pupil) and Horner's syndrome. Atropine and cocaine cause mydriasisQ Barbiturate poisoning 1/t constricted & reacting pupils which dilate during terminal asphyxiaQ